In which syndrome is sensorineural hearing loss associated with abnormality of thyroxin synthesis?
1. Alport
2. Pendred
3. Klippel-Feil
4. Usher

Correct answer: 2. Pendred

Explanation: In Pendred syndrome child is born deaf. Thyroid enlargement appear in adolescence and becomes nodular in adulthood.Alport's syndrome: Progressive glomerulonephritis.Klippel-Feil syndrome: Congenital spinal deformities.Usher syndrome: Retinitis pigmentosa.